Antibioma is best treated by:
1. Partial resection
2. Complete resection
3. Aspiration
4. Administration of antibiotics

Correct answer: 2. Complete resection

Explanation: Ans. B i.e. Complete resection